Bisphosphonates are prescribed to a patient with the following advice
1. Take empty stomach with plenty of water
2. Take after meals
3. Discontinue if gastritis develops
4. Discontinue if severe bone pain occurs

Correct answer: 1. Take empty stomach with plenty of water

Explanation: Ans. (A) Take empty stomach with plenty of water(Ref: KDT 8th/370)Bisphosphonates are to be taken empty stomach in the morning with full glass of water and patient is instructed not to lie down or take food for at least 30 min. These measures are required to prevent contact of the drug with esophageal mucosa which result in esophagitis.